Phenylbutazone use as an NSAID is restricted because :
1. It has lower anti-inflammatory efficacy than other NSAIDs
2. It has potential to cause agranulocytosis
3. It has weak analgesic action
4. It alters the protein binding and metabolism of many drugs

Correct answer: 2. It has potential to cause agranulocytosis